A six year old child managed by complete surgical removal of Craniopharyngioma developed multiple endocrinopathies. Which of following hormones should be replaced first?
1. Hydrocortisone
2. Growth hormone
3. Thyroxine
4. Prolactin

Correct answer: 1. Hydrocortisone

Explanation: Cortisol (hydrocortisone) is the first hormone to be replaced in patients with panhypopituitarism after craniopharyngioma surgery.